Most common complication following intertrochanteric fracture femur is:
1. Avascular necrosis of femoral head
2. Malunion
3. Rupture of the Iliopsoas tendon
4. Distal gangrene

Correct answer: 2. Malunion

Explanation: Ans. B. MalunionThe commonest complication of a trochanteric fracture of the femur is malunion and results in Coxa vara. Nonunion is rather rare.